First sign of pubertal development in female is –
1. Breast enlargement
2. Onset of mesturation
3. Enlargement of pubic hair
4. Maximum growth velocity

Correct answer: 1. Breast enlargement